Commonest site of Atopic dermatitis is?
1. Scalp
2. Elbow
3. Trunk
4. Ante cubital fossa

Correct answer: 4. Ante cubital fossa

Explanation: D i.e. Antecubital fossa